All are true bout Oral anticoagulants EXCEPT:
1. Acts in vivo
2. Acts both in vivo and in vitro
3. Interferes with synthesis of Vit K
4. Causes Hematuria

Correct answer: 2. Acts both in vivo and in vitro

Explanation: Ans. (b) Acts both in vivo and in vitro* ORAL ANTICOAGULANT is warfarin. It is used only in vivo (body), NOT in vitro (lab).* Warfarin is not used to store blood.* It acts by inhibiting Vitamin K. Due to overdose, hematuria is the First manifestation noted.* Dose monitoring is done by INR.* Antidote of warfarin overdose: Vitamin KPT (Prothrombin Time)aPTT (activated Partial Thromboplastin Time)* Assess activity of Extrinsic coagulation pathway* Used when on warfarin treatment* WePT: Warfarin for extrinsic; PT value assessed.* Assess activity of Extrinsic coagulation pathway.* Used while on heparin treatment.* HINT: Heparin for Intrinsic; aPTT value assessed.